Chronaxie minimum in
1. Mixed nerves
2. Unmyelinated nerve
3. Myelinated nerve
4. Sensory nerves

Correct answer: 3. Myelinated nerve

Explanation: Duration for which twice the rheobase strength has been applied to produce an action potential is called chronaxie. It is measure of excitability of the tissues. (REF TEXTBOOK OF MEDICAL PHYSIOLOGY GEETHA N 2 EDITION, PAGE NO - 30)